Common CNS lesions in HIV is caused by-
1. Cryptococcus
2. Toxoplasma
3. Lymphoma
4. All

Correct answer: 4. All

Explanation: Ans. is 'a' i.e., Cryptococcus; 'b' i.e., Toxoplasma & `c' i.e., Lymphoma Common CNS lesions in HIV patient are - i) HIV encephalopathy ii) Cerebral toxoplasmosis iii) Cryptococcal meningitis iv) CMV infection v) Tubercular meningoencephalitis vi) Herpetic encephalitis vii) Primary CNS lymphoma viii) Progressive multifocal leukoencephalopathy